Antipsychotic drugs act through
1. Dopamine D1 receptor blockade
2. Dopamine D2 receptor blockade
3. Dopamine D3 receptor blockade
4. Dopamine D4 receptor blockade

Correct answer: 2. Dopamine D2 receptor blockade

Explanation: (B) Dopamine D2 receptor blockade # Antipsychotics work by blocking a specific subtype of the dopamine receptor, referred to as the D2 receptor.> Older antipsychotics, known as conventional antipsychotics, block the D2 receptor and improve positive symptoms.> Second generation of antipsychotics or Atypical antipsychotics, block D2 receptors as well as a specific subtype of serotonin receptor, the 5HT2A receptor.> It is believed that this combined action at D2 and 5HT2A receptors treats both the positive and the negative symptoms.> Atypical antipsychotics include clozapine, risperidone, olanzapine, quetiapine, paliperidone and ziprasidone.